All of the following are features of fundus examination using direct ophthalmoscope, EXCEPT:
1. Less useful in myopic patients
2. Image formed is erect and virtual
3. Field of vision is about 35 degrees
4. Provides a magnification of 15 times

Correct answer: 3. Field of vision is about 35 degrees

Explanation: Field of vision with a direct ophthalmoscope is about 10-15 degrees, whereas with an indirect ophthalmoscope it is 35 degrees. Characteristics of direct and indirect ophthalmoscopy: Direct ophthalmoscopy Indirect ophthalmoscopy Magnification About 15 x About 2.5 x Depth of field Small Large Field of vision 10 - 15 degree 35 degree Stereopsis Absent Present Type of image Erect and virtual Inverted and reversed real View of periphery Not clear Clear Value in myopia and other ametropias Less More REF: Textbook of Ophthalmology edited by Sunita Agarwal, PAGE 199